vital capacity of 45 yr old male patient is 4000ml , with IRV = 500ml , ERV = 500ml with respiratory rate of 22/min, calculate minute ventilation of the patient ?
1. 66
2. 120
3. 33
4. 100

Correct answer: 1. 66

Explanation: minute ventilation = tial volume x respiratory rate ref : guyton andhall